Which of the following is not used as vector in genetics ?
1. Adenovirus
2. Proteasome
3. Liposome
4. Retrovirus

Correct answer: 2. Proteasome

Explanation: The traditional viral vectors are adenoviral vectors followed by papilloma viruses and retroviruses. Retroviruses are the main and most commonly used viral vectors.Other cloning vectors for gene delivery are :-PlasmidBacteriophageCosmidBAC (Bacterial artificial chromosome)YAC (Yeast artificial chromosome).Liposomes or lipoplexes are also used as vector for gene delivery.